Patient is having bronchodilation, increased temperature, constipation and tachycardia. The diagnosis is:
1. Organophosphate poisoning
2. Paracetamol poisoning
3. Mushroom poisoning
4. Atropine poisoning

Correct answer: 4. Atropine poisoning

Explanation: Atropine poisoning All the symptoms mentioned in this question are seen with anticholinergic compounds. Atropine, hyoscine (scopolmaine) & hyoscyamine are natural alkaloids with anticholinergic action. They are found in Dhatura, Atropa belladena, Hyoscyamus niger. Poisoning with these substances are characteristically described as - Dry as a bone (Dryness of mouth & skin) - Red as a beet (Flushed face) - Blind as a bat (Dilated pupil) - Hot as a hare (Hyperpyrexia) - Mad as a wet hen (Delirium) Symptoms can also be described as 8D's Other symptoms which can occur are tachycardia, constipation, bronchodilation and reduced airway resistance (esp. in COPD and asthma patients) and urinary retention.